Facial nerve is injured during parotid surgery. Best management -
1. Immediate repair
2. Repair at a later date
3. Physiotherapy
4. Nothing

Correct answer: 1. Immediate repair

Explanation: Ans. is 'a' i.e., Immediate repair o Iatrogenic facial nerve injury' is most common after mastridctomy. When this occurs interoperatively, it is explaned. Injury' to greater than 50% of the neural diameter of facial nerve is addressed either with primary reanestomosis or reconstructed with the use of a nerve graft.o Reconstruction with nerve graft (aka cable grafting) is done using either. The greater auricular nerve or sural nerve as donar.